Which of the following organism is catalase positive, coagulase positive, non-motile, facultative anaerobe and do not form spores?
1. Streptococcus viridians
2. Pneumococcus
3. Staphylococcus aureus
4. Pseudomonas aeruginosa

Correct answer: 3. Staphylococcus aureus

Explanation: The staphylococci are gram-positive spherical cells, usually arranged in grapelike irregular clusters. They are nonmotile and do not form spores.The staphylococci produce catalase, which differentiates them from the streptococci. Staph.aureus is coagulase positive, which differentiates it from the other speciesReference: Jawetz, Melnick, & Adelberg's Medical Microbiology; 27th edition; Chapter 13; The Staphylococci